Aviator fracture is -
1. Fracture neck of talus
2. Fracture scaphoid
3. Fracture calcaneum
4. Fracture 5th metatarsal

Correct answer: 1. Fracture neck of talus

Explanation: Fracture neck of talus results from forced dorsiflexion of the ankle. Typically this injury is sustained in an aircraft crash where the rubber bar is driven forcibly against the middle of the sole of the foot (AVIATOR's fracture), resulting in forced dorsiflexion of the ankle, the neck being a weak area, gives way. Reference - Essential orthopaedics- Maheshwari -5th edn pg no 166.